Which is not an aryl phosphate -
1. Parathion
2. TIK-20
3. Malathion
4. Paraoxon

Correct answer: 3. Malathion

Explanation: Organophosphate poisoning is the most common poisoning in India followed by aluminium phosphide. Organophosphorus compounds are classified as 1. Alkyl compounds -- such as tetraethyl pyrophosphate (TEPP), hexa ethyl tetraphosphate (HETP), octa methyl pyrophosphate (OMPA), malathion etc. 2. Aryl compounds -- such as parathion, chlorothion, diazinon (Tik-20), paraoxon etc. REF;THE SYNOPSIS OF FORENSIC MEDICINE:KS NARAYANA REDDY;28th EDITION;PAGE NO 291